In mycetoma, pink to red granules are produced by
1. Madurella
2. Aspergillus
3. Actinumadura madurae
4. Actinomadura pelletri

Correct answer: 4. Actinomadura pelletri

Explanation: Actinomadura pelletri - Pink to red granules.
Madurella species - Black.
Nocardia - White to yellow.
Actinomadura madurae - White to yellow.